Insulin secretion is decreased by:
1. Glucagon
2. Glucose
3. Adrenaline
4. Vagal stimulation

Correct answer: 3. Adrenaline

Explanation: C i.e. Adrenalin